Rate limiting step in cholinergic transmission ?
1. Synthesis of acetylcholine from choline
2. Active uptake of choline in axons
3. Active uptake of acetylcholine by synaptic vesicle
4. Release of acetylcholine from synaptic vesicle

Correct answer: 2. Active uptake of choline in axons

Explanation: Ans. is'b'i.e., Active uptake of choline in axonsAcetylcholine synthesis and releaseCholine is actively taken up by the axonal membrane by Na*; choline cotransporter. (Rate limiting step). This step is blocked by Hemicholinium.